Coagulation time is prolonged in all except -
1. Hemophilia
2. Von Willebrand's disease
3. Christmas disease
4. ITP

Correct answer: 4. ITP